The branch of facial nerve that conveys the secretomotor impulse involved in lacrimation is:
1. Chorda tympani nerve
2. Deep petrosal nerve
3. Greater petrosal nerve
4. Lesser petrosal nerve

Correct answer: 3. Greater petrosal nerve